In which of the following condition is Paracusis Willis seen?
1. Otitis media
2. Otitis externa
3. Otosclerosis
4. Meniere's disease

Correct answer: 3. Otosclerosis

Explanation: Paracusis Willis refers to improved hearing with background noise. It is seen in patients with otosclerosis. Hearing deficit typically becomes apparent when they reach a 25 -30dB loss where the patient has difficulty understanding speech.